Adult polycystic kidney is inherited as -
1. Autosomal-co-dominant
2. Autosomal dominant
3. Autosomal recessive
4. X-linked dominant

Correct answer: 2. Autosomal dominant